All of the following stem cell populations are found within the hone marrow, except-
1. Endothelial Progenitor cells
2. Myoblast Progenitor cells
3. Mesenchymal stern cells
4. Hernatopodic stkem cells

Correct answer: 2. Myoblast Progenitor cells

Explanation: Answer is option 2, myoblast progenitor cells. Embryonic myogenesis in vertebrates is initiated by specific muscle progenitor cells that reside in the myotome. In mice, these events take place around embryonic day 8 concomitant with the expression of Myf5 by myogenic progenitor cells.1-3 In post-natal muscle, myogenesis is driven by the expression of Pax3 and Pax7 by muscle satellite cells that normally reside just below the basal lamina in the stromal compartment in direct contact with the myofiber.